Sparrow foot marks are associated with which type of injury:
1. Motor cyclist's fracture
2. Under-running or tail gating
3. Steering wheel impact
4. Wind screen impact

Correct answer: 4. Wind screen impact

Explanation: Ans. Wind screen impact